Which of the following is used for neuroprotection in preterm deliveries?
1. Betamethasone
2. Dexamethasone
3. Magnesium sulphate
4. Indomethacin

Correct answer: 3. Magnesium sulphate

Explanation: Very low-bihweight neonates whose mothers were treated with magnesium sulfate for preterm labor or preeclampsia were found to have a reduced incidence of cerebral palsy at 3years. (Ref: William's Obstetrics; 25th edition)